Chancre Redux is a feature of
1. Early replasing syphilis
2. Late syphilis
3. Recurrent herpes simplex
4. Chancroid

Correct answer: 1. Early replasing syphilis

Explanation: Chancre redux is seen in early relapsing syphilis.It is a recurrence of the primary chancre at its original site. Chancre redux is an unusual form of relapsing syphilis in which a primary chancre appears at or near the site of the orig- inal infection. It develops in cases of untreated or inadequately treated primary syphilis. Multiple chancres are common Ref Harrison 20th edition pg 1290.